Sinus not present at birth is/are:
1. Maxillary
2. Ethmoidal
3. Frontal
4. All of the above

Correct answer: 3. Frontal

Explanation: Ans. C: Frontal The paranasal sinuses are hollow, air-filled cavities that are lined by a mucous membrane. The ethmoid and maxillary sinuses are present at birth. The frontal sinus develops about the second year of life and the sphenoid about the third year. Sometimes, the frontal sinuses do not develop.